True about measles
1. Rash appear first on leg
2. Koplik spots are seen in retina
3. Long term complication follows in form of SSPE
4. Caused by DNA virus

Correct answer: 3. Long term complication follows in form of SSPE

Explanation: Complications of measles are otitis media ,bacterial bronchopneumonia,respiratory complications like laryngitis, tracheitis ,bronchitis, giant cell pneumonia and bronchiectasis,GI complications like diarrhea ,appendicitis ,hepatitis, ileocolitis,acute encephalitis. Post measles encephalitis may occur after recovery. Fatal subacute sclerosing panecephalitis (SSPE)may occur after several yrs of infection. Koplik spots appear opposite the lower second molar of buccal mucosa on second or third day of illness. Rash appear first behind ear,along hairline and on posterior aspect of cheek. Image : Measles causes a red, blotchy rash that usually appears first on the face and behind the ears, then spreads downward to the chest and back and finally to the feet. Reference: Essential pediatrics,op ghai,9 th edition,pg no:209& 210